A 30 year old male patient presented with massive hemetemesis. On upper GI scopy, 3x2 cm ulcer was seen on the posterior aspect of 1st part of the duodenum. Bleeding vessel seen, but could not be controlled endoscopically. Pulse rate 100, BP 110/70, Hb 10 gms% after blood transfusion. What will be the next line of management?
1. Partial gastrectomy including the bleeding segment
2. Duodenotomy, Truncal vagotomy, ligation of bleeding vessels and Pyloroplasty
3. Duodenotomy, pyloroplasty, Truncal vagotomy
4. IV Pantoprazole

Correct answer: 2. Duodenotomy, Truncal vagotomy, ligation of bleeding vessels and Pyloroplasty

Explanation: For patients bleeding from duodenal ulcers, truncal vagotomy, pyloroplasty, and oversewing of the bleeding vessel is the most widely used operation. Ref: Endoscopy of the Upper GI Tract: A Training Manual edited by Berthold Block, Guido Schachschal, Hartmut Schmidt (M.D.),2004, Page 151 - 154; Esophagus, Stomach, Duodenum edited by Karl Kremer, 1989, Page 237.